Naltrexone is used for which of the following function in opioid addiction?
1. prevention of relapse
2. Treatment of withdrawal
3. Treatment of overdose
4. Prevention of withdrawal

Correct answer: 1. prevention of relapse

Explanation: Naltrexone is a pure opiod antagonist. It is used for opiod blockade theory in post addicts mainly for maintainence therapy and mathadone for substitution therapy. Ref: KD Tripati 8th ed.